Radioisotope used for thyroid treatment of metastasis / ablation
1. 1-123
2. 1-131
3. Jan-83
4. Jan-90

Correct answer: 2. 1-131

Explanation: Ans. (b) 1-131Ref: Sutton 7th/1504* Iodine-131 has a radioactive decay half-life of about eight days.* Iodine-131 exhibits a beta mode of decay, and leads to death in cells that it penetrates up to several millimeters and hence is useful for thyroid ablation.* 1-123 has a half-life of 13.22 hours and is a radioactive isotope of iodine used in nuclear medicine imaging, including single photon emission computed tomography.